Receptors on cell membrane that activate ion channel after binding with agonists are
1. Nicotonic Cholinergic
2. Muscarinic Cholinergic
3. Optoid n receptors
4. All

Correct answer: 1. Nicotonic Cholinergic

Explanation: A i.e. Nicotinic cholinergic receptorReceptors with intrinsic ion channelThese cell surface receptors enclose ion selective channels (Na+, Ca2+, CO within their molecule. Agonist binding opens the channels & causes depolarization / hyperpolarization depending on the ion that flows through.This includes: - Nicotinic cholinergic receptorQ Glutamate receptor Glycine receptor GABAA receptorQ - 5HT3 receptorReceptorActs'ThroughMuscarinic receptor, opioid andG- protein coupledGABABreceptorMl, M3 (muscarinic)IP3-DAGM2 muscarinic, Opioid 11,6CAMP TIC+, Ca+2,1.GABAB